Preload measures?
1. End systolic volume
2. End diastolic volume
3. Peripheral resistance
4. Stroke volume

Correct answer: 2. End diastolic volume

Explanation: ANSWER: (B) End diastolic volumeREF: Guytons physiology 22nd edition page 111, http://en.wikipedia.org/wiki/Preload_% 28cardiology%29"For cardiac contraction, the preload is usually considered to be the end-diastolic pressure when the ventricle has become filled"Quantitatively, preload can be calculated asLV EDT . LV EDR2hWhere LVEDP = Left ventricular end diastolic pressure, LVEDR = Left ventricular end diastolic radius (at the ventricle s midpoint), and h = thickness of the ventricle. This calculation is based on the Law of Laplace.